Blood pressure of 2000 Randomly selected persons from a population was plotted in a graph it is most likely to be a
1. Normal Distribution
2. Maxwell Distribution
3. Radial Distribution
4. Poisson Distribution

Correct answer: 1. Normal Distribution

Explanation: (A) Normal Distribution # Normal Distribution or Gaussian Distribution or Normal Curve is an important concept in statistical theory.> When we collect Blood Pressure values of a very large number of people and make a frequency distribution with narrow class intervals, we are likely to get a smooth, symmetrical curve. Such a curve is called a normal distribution or normal curve.> Shape of the curve will depend upon the mean and standard deviation which in turn will depend upon the number and nature of observations.> Poisson distribution or Poisson law of large numbers is a discrete probability distribution that expresses the probability of a number of events occurring in a fixed period of time if these events occur with a known average rate and independently of the time since the last event. The Poisson distribution can also be used for the number of events in other specified intervals such as distance, area or volume.